Vagabond disease transmitted by
1. Mite
2. Louse
3. Tick
4. Black Fly

Correct answer: 2. Louse